What complication should one expect when PCNL is done through 11th intercostal space?
1. Hematuria
2. Hydrothorax
3. Injury to colon
4. Remnant fragments

Correct answer: 2. Hydrothorax